Y.V plasty procedure is used for
1. Vestibuloplasty
2. Ridge augmentation
3. Frenectomy
4. Mucogingival surgery

Correct answer: 3. Frenectomy